Bart's hydrops fetalis is lethal because:
1. Hb Bart's cannot bind oxygen
2. The excess a-globin form insoluble precipitates
3. Hb Bart's cannot release oxygen to fetal tissues
4. Microcytic red cells become trapped in the placental

Correct answer: 3. Hb Bart's cannot release oxygen to fetal tissues

Explanation: Hb Bart: Most severe form of Alpha thalassemia As Hb Bart's consists of 4-gamma chains - have very high oxygen affinity Thus, it cannot release oxygen to fetal tissues.